All are involved in cardiac conduction pathway except:
1. SA node
2. Purkinje fibers
3. Bundle of His
4. Sarcomere

Correct answer: 4. Sarcomere

Explanation: Ans: D (Sarcomere) Ref: Ganong's Review of Medical Physiology. 21st ed.Explanation:Cardiac Conduction PathwaySA nodeAV nodeBundle of HisLeft and right bundle branchPurkinje fibres